Mechanism of action of NO is -
1. Through protein kinase C
2. Through IP3-DAG system
3. Through cGMP
4. Through intracellular receptors

Correct answer: 3. Through cGMP

Explanation: Ans. is 'c' i.e., Through cGMP * NO acts through group IIB hormonal mechanisms, i.e. through cGMP as the second messenger.